Scabbard Trachea; True is?
1. Flattening of trachea
2. Caused by lateral compression by swellings
3. Caused by lateral compression by tumors
4. All of the above

Correct answer: 4. All of the above

Explanation: SCABBARD (SABER-SHEATH) TRACHEA

Flattening of trachea caused by lateral compression by swellings or tumors.
Causes: Carcinoma thyroid, thyroiditis, carcinoma larynx, goitre.